Which antitubercular drug metabolism is under genetic control -
1. Rifampicin
2. INH
3. Cyclosporine
4. PZM

Correct answer: 2. INH

Explanation: Ans. is 'b' i.e., INH o INH is metabolized by liver by acetylations and metabolites are excreted in urine. The rate of acetylation of INH is under genetic control. The variations.